The first fibers to be destroyed in periodontitis are?
1. Free gingival
2. Oblique
3. Horizontal
4. Trans septal

Correct answer: 1. Free gingival